A dead body in casuality showed fine leathery froth coming out of the mouth and nostrils and it comes out profusely on pressing the chest wall, cause is:
1. Drowning
2. Morphine poisoning
3. Strangulation
4. Dhatura poisoning

Correct answer: 1. Drowning

Explanation: A i.e. Drowning Fine leathery copious & persistent (i.e. comes out on pressing the chest) froth coming out of mouth & nostril is classically seen in drowning.Q Froth is also seen in death due to poisoning eg. Barbiturate, Organophosphorus, Morphine (opioids) & Cocaine but it is neither so fine nor so copious & persistent.Q